Angle of mandible is supplied by?
1. Oculomotor nerve
2. Greater auricular nerve
3. Mandibular nerve
4. Maxillary nerve

Correct answer: 2. Greater auricular nerve

Explanation: Skin of angle of mandible is supplied by greater auricular nerve. (C2) Cutaneous innervation of ear and mandible